All are true about Menetrier's disease except:
1. Protein loss
2. Hyperchlorhydria
3. Cobblestone appearance of mucosa
4. Associated with CMV and H. pylori

Correct answer: 2. Hyperchlorhydria

Explanation: Ans. (b) HyperchlorhydriaRef: Sabiston 19th Edition, Page 1222Infections causing Menetrier's Disease:* CMV in children* H. pylori in adults